Which of the following is false regarding frontal sinusitis?
1. Pain shows periodicity
2. Most common sinus involved in infants and children
3. Pain is referred to as office headache
4. Tenderness is present just above the medial canthus of eye

Correct answer: 2. Most common sinus involved in infants and children

Explanation: Clinical features of frontal sinusitis: A frontal headache: showing periodicity and tenderness, Oedema of upper eyelids with suffused conjunctiva and photophobia, Nasal discharge: a vertical streak of mucopus is seen high up in the anterior part of the middle meatus X-ray: opacity of affected sinus seen. Both Waters and lateral views should be taken. CT scan is preferred modality. Most common sinus involved in infants and young children is Ethmoidal sinus. (Ref: Textbook of diseases if ENT, PL Dhingra, 7th edition, pg no. 215, 216)